Most common sets of Metastases of carcinoma bronchi
1. Liver + Bones
2. Prostate
3. Kidney
4. Breast

Correct answer: 1. Liver + Bones

Explanation: Distant metastases blood stream are widespread and early.The sites affected,in descending order of involvement,are:the liver,adrenals,bones,pancreas,brain,opposite lung,kidneys & thyroid. Textbook of pathology-6th edition,Harsh Mohan,6th edition,page no:502